Second intermediate host of Diphyllobothrium latum is -
1. Cylops
2. Man
3. Snail
4. Fresh water fish

Correct answer: 4. Fresh water fish

Explanation: Definitive host : Man (optimal) First intermediate host:Freshwater copepod, mainly of genera cyclops or Diaptomus second intermediate host: freshwater fish Ref; panikers textbook of Medical parasitology 8th edition page 118